Which of the following does not indicate Heapatitis B replication?
1. HBcAg
2. HBeAg
3. HBV DNA
4. Viral copies

Correct answer: 1. HBcAg

Explanation: Ans. a. HBcAg